Beta blocker with intrinsic sympathomimetic activity is
1. Propranolol
2. Atenolol
3. Bisoprolol
4. Celiprolol

Correct answer: 4. Celiprolol

Explanation: Beta blockers with intrinsic sympathomimetic activity are acebutolol, celiprolol, pindolol etc Ref: KD tripathi 8th ed.